Nuclear bag fiber detects
1. Sense dynamic length of muscle
2. Involved in reciprocal innervations
3. Alpha motor neuron stimulation
4. Senses muscle tension

Correct answer: 1. Sense dynamic length of muscle

Explanation: (Refer Q 5 AIIMS Nov'14)